Cells present in cerebellar cortex are all except -
1. Purkinje
2. Bipolar
3. Granule
4. Golgi

Correct answer: 2. Bipolar

Explanation: Type of neurons in cerebellar cortex- basket, granule, golgi, purkinje and stellate.